True about Bacterial vaginosis :
1. Fishy odour discharge
2. Grey discharge
3. Clue cells found
4. All of these

Correct answer: 4. All of these

Explanation: All of these Grey discharge; Clue cells found; Fishy odour discharge; and Caused by Gardenella vaginalis